Popcorn variant of Reed-Sternberg cell is seen in?
1. Follicular center lymphoma
2. Lymphocyte depleted Hodgkin's disease
3. Nodular sclerosis Hodgkin's disease
4. Lymphocyte predominant Hodgkin's disease

Correct answer: 4. Lymphocyte predominant Hodgkin's disease

Explanation: Popcorn variant of Reed-Sternberg cell is seen in lymphocyte predominant Hodgkin's disease Variants of Reed -Sternberg Cells Subtypes of Hodgkin's Associated Mononuclear variant = Variant of R.S. cell, mononucleated. Mixed cellularity Lacunar Variant = Large cells with hyperlobated nucleus, multiple small nuclei and eosinophilic cytoplasm around the nucleus creating an empty space called lacunae Nodular sclerosis Lympho-histiocytic variant (popcorn cell variant) = Cell with multiple folded or convoluted nuclear contour resembling a "popcorn kernel" Lymphocytic predominant Note MC subtype of Hodgkin lymphoma : Nodular sclerosis ( Globally ) Mixed cellularity ( In India )